Which structure connects Broca's area and Wernicke area?
1. Arcus fasciculus
2. Anterior commissure
3. Corpus callosum
4. Fornix

Correct answer: 1. Arcus fasciculus

Explanation: Wernicke's area- for comprehension Broca's area- for expression/fluency Arcus fasciculus- connection between broca's and Wernicke's area. - for repetition Corpus callosum- connects both cerebral hemispheres. Fornix- area bet 2 lateral ventricles.